Flooding is method of treatment in?
1. Phobia
2. Depression
3. Schizophrenia
4. Organic brain syndrome

Correct answer: 1. Phobia

Explanation: Ans. is 'a' i.e., Phobia Flooding* Flooding is based on the assumption that fear dissipates when the subject is not allowed to escape from the scene. The subject is exposed to the fear provoking situations abruptly and not in a graded way as in systemic desensitization and without any attempt to reduce anxiety. The sessions continue till fear dissipates. It is used in phobia.Other forms of behavior therapy1. Systemic desensitizaiton: - It is based on the principle of reciprocal inhibition i.e., if a response is incompatible with anxiety is made to occur at the same time as an anxiety provoking stimulus then anxiety is reduced by reciprocal inhibition. Systemic desensitization are used in phobia and OCD.2. Therapeutic-graded exposure:- Therapeutic graded exposure is similar to systemic desensitization, except that relaxation training is not involved and treatment is usually carried out in a real-life context. This means that the individual must be brought in contact with (i.e., be exposed to) the warning stimulus to learn firsthand that no dangerous consequences will ensue. Exposure is graded according to a hierarchy. For example, Patient afraid of cats might progress from looking at a picture of cat to holding one.3. Exposure & response prevention: - Patient is exposed to a situation (intentional contamination of hand which from carrying out rituals (e.g., by shutting of water). The anxiety which mounts up dissipates after sometime. It is particularly useful for OCD and some types of phobias.4. Aversion therapy: - Aversion therapy is used for the treatment of conditions which are pleasant but undesirable (e.g., alcoholism, sexual deviation, drug abuse, smoking). The underlying principle is the pairing of the pleasant stimulus (e.g., alcohol) with an unpleasant response (e.g., brief electric stimulus).5. Operant conditioning procedure for decreasing a behavior: -a. Positive punishment: - On performing an undesired behavior an aversive stimulus is given.b. Negative punishment: - On performance of an undesired behavior, reward is avoided.